Hofbauer cells are associated with
1. Single umbilical artery
2. Maternal diabetes
3. Early pregnancy
4. Erythroblastosis foetalis

Correct answer: 3. Early pregnancy

Explanation: Hofbauer cells are oval eosinophilic histiocytes with granules and vacuoles found in the placenta, which are of mesenchymal origin, in mesoderm of the chorionic villus, particularly numerous in early pregnancy.